Component of HDI are all except-
1. Life expectancy
2. Knowledge
3. Income
4. Social status

Correct answer: 4. Social status

Explanation: Ans. is 'd' i.e., Social status * HDI is a composite index combining indicators representing three dimensions.i) Longevity: Life expectancy at birth.ii) Knowledge: Mean years of schooling (gross enrolment ratio) and expected year of schooling. (In older editions of Park, i.e., 21st/e and older than that, it was adult literacy rate instead of expected year schooling).iii) Income: GNI Per Capita (In older editions of Park, it was GDP per capita instead of GNI per capita).